True about membranous GN are following except
1. Thickening of B.M
2. Deposition between endothelium and B.M.
3. Most common cause of nephrotic syndrome in adults
4. Seen in SLE, tumors, drugs

Correct answer: 2. Deposition between endothelium and B.M.

Explanation: Ans. is 'b' i.e., Deposition between endothelium and B.M.Membranous glomerulonephritis o Membranous glomerulonephritis, also known as membranous nephropathy, is a slowly progressive disease of the kidney affecting mostly patients between ages of 30 and 50 years.o Membranous glomerulonephritis is classifiedPrimary (idiopathic) - 85%Secondary - 15% Drugs --> Penicillamine, captopril, gold, NSAIDS Malignant tumors --> Lung, colon, melanoma Auto immune conditions --> SLE, thyroiditis Infections HBC, HCV, syphilis, schistosomiasis, malariaMembranous glomerulonephritis is characterized by ?o Diffuse thickening of glomerular capillary wall.o Accumulation of electron - dense, immunoglobulin containing deposits along subepithelial side (between epithelium and GBM).o Membranous glomerulonephritis is the most common cause of nephrotic syndrome in adults.